Name who suggested to use antiseptic to prevent puerperal deaths
1. Hippocrates
2. Joseph Lister
3. Ignaz Semmelweis
4. Louis Pasteur

Correct answer: 3. Ignaz Semmelweis

Explanation: (C) Ignaz Semmelweis # Ignaz Phillip Semmelweis: was a Flungarian physician of German extraction now known as an early pioneer of antiseptic procedures. Described as the "''savior of mothers"", Semmelweis discovered that the incidence of puerperal fever or "childbed fever" could be drastically cut by the use of hand disinfection in obstetrical clinics. Puerperal fever was common in mid-19th-century hospitals and often fatal, with mortality at 10%-35%. Semmelweis proposed the practice of washing hands with chlorinated lime solutions in 1847 while working in Vienna General Hospital's First Obstetrical Clinic, where doctors' wards had three times the mortality of midwives' wards. He published a book of his findings in Etiology, Concept and Prophylaxis of Childbed Fever,> Despite various publications of results where hand washing reduced mortality to below 1%, Semmelweis's observations conflicted with the established scientific and medical opinions of the time and his ideas were rejected by the medical community. Semmelweis could offer no acceptable scientific explanation for his findings, and some doctors were offended at the suggestion that they should wash their hands. Semmelweis's practice earned widespread acceptance only years after his death, when Louis Pasteur confirmed the germ theory and Joseph Lister, acting on the French microbiologist's research, practiced and operated, using hygienic methods, with great success. In 1865, Semmelweis was committed to an asylum, where he died at age 47 of pyaemia, after being beaten by the guards, only 14 days after he was committed. Hippocrates is the Father of Medicine. Joseph Lister is the Father of Antisepic Surgery. Louis Pasteur is the father of Vaccination.